By what age is the milestone of climbing steps with alternate feet achieved ?
1. 2 years
2. 3 years
3. 4 years
4. 5 years

Correct answer: 2. 3 years

Explanation: O.P. Ghai 7th ed, page 30 A child climbs syairs alternating feet at 30 months. Thus, best answer is 3 years.